Treatment of acutely developing massive left sided hemothorax in a young male after an accident is -
1. Strapping of chest
2. Tube thoracostomy
3. Endotracheal intubation + IPPV + pleural fluid aspiration
4. Conservative, wait and watch

Correct answer: 2. Tube thoracostomy